All are dopaminergic agonists used for parkinsonism EXCEPT:
1. Bromocriptine
2. Ropinerole
3. Pramipexole
4. Selegiline

Correct answer: 4. Selegiline

Explanation: ANSWER: (D) SelegilineREF: KDT 6th Ed p. 415DRUGS USED FOR PARKINSONISMDrugs affecting dopaminergic system Dopamine precursorLevodopaPeripheral decarboxylase inhibitorsCarbidopa, benzaserideDopaminergic agonistsBromocriptine , ropinerole , pramipexoleMAO-B inhibitorSelegilineCOMT inhibitorEntacapone , tolcaponeDopamine facilitatorAmantadineDrugs affecting brain cholinergic systemCentral anticholinergicsTrihexyphenidyl, procvclidine , biperidinAntihistaminesOrphenadrine, promethazine